A 28-year-old primgravida had prepregnancy BMI of 30kg/m2, What is the recommended weight gain for her during pregnancy :
1. 5-7 kg
2. 8-11 kg
3. 10-13 kg
4. 14-16 kg

Correct answer: 1. 5-7 kg

Explanation: An obese women(BMI>30) should not gain more than 7 kg. Reference:DC Dutta's Textbook of obstetrics,8th edition,page no:57